Exaltation is -
1. Decreased virulence
2. Increased virulence
3. No change
4. None

Correct answer: 2. Increased virulence